Which of the following is not used in the treatment of pulmonary hypertension ?
1. Calcium channel blockers
2. Alpha blockers
3. Prostacyclins
4. Endothelin receptor antagonists

Correct answer: 2. Alpha blockers